Helicine a ery are branch of
1. Deep artery of penis
2. Femoral artery
3. External pudendal artery
4. None of the above

Correct answer: 1. Deep artery of penis

Explanation: BD CHAURASIA S HUMAN ANATOMY SIXTH edition Vol 2 Pg 221 The deep artery of penis runs in the corpus cavernosum.It breaks up into arteries that follow a spiral course and are there called helicine artery